All of the following statements are true about tumor suppressor gene TP53, except:
1. Regulates genes involved in cell cycle regulation
2. Increased levels can induce apoptosis
3. Activity in the cells decreases following UV irradiation and stimulates cell cycle
4. Inherited TP53 mutations give rise to Li-Fraumeni syndrome

Correct answer: 3. Activity in the cells decreases following UV irradiation and stimulates cell cycle

Explanation: TP53 is a tumor suppressor gene, located on chromosome 17. It is also called as "Guardian of the genome". At the time of DNA injury following irradiation, its level increases and it acts to cause cell cycle arrest (G1/S) The cell cycle arrest is to allow time for DNA repair. If repair is unsuccessful, TP53 causes apoptosis of the cell by activating bax (apoptosis inducing gene). So, any exposure to UV irradiation would cause increased activity of TP53 gene resulting in apoptosis and cell death. Individuals with inherited TP53 mutations are said to have Li-Fraumeni syndrome, and have a 25-fold greater chance of developing a malignant tumor by age 50 than the general population.